Which of the following vitamin reduces the risk of insulin resistance, obesity, and the metabolic syndrome?
1. Vitamin A
2. Vitamin C
3. Vitamin D
4. Vitamin B12

Correct answer: 3. Vitamin D

Explanation: Higher Intakes of Vitamin D May Be Beneficial There is evidence that Vitamin D intake considerably higher than that required to maintain calcium homeostasis reduce the risk of insulin resistance, obesity, and the metabolic syndrome, as well as various cancers. There is growing evidence that higher vitamin D status is protective against various cancers, including prostate and colorectal cancer, and also against prediabetes and the metabolic syndrome. Desirable levels of intake may be considerably higher than current reference intakes, and certainly could not be met from unfortified foods. While increased sunlight exposure would meet the need, it carries the risk of developing skin cancer. Reference: Harper; 30th edition; Page no: 552, 553